All are true about cutaneous anthrax except
1. Extremely painful
2. The whole area is congested and edematous
3. Central crustation with black eschar
4. Satellite nodule around inguinal region

Correct answer: 1. Extremely painful

Explanation: Cutaneous anthrax: lesion starts as a papule 1-3 days after infection and becomes vesicular, containing a fluid which may be clear or bloodstained. The whole area is congested and edematous and several satellite lesions filled with serum or yellow fluid are arranged around a central necrotic lesion which is covered by a black eschar. This is a malignant pustule. Reference: Textbook of Microbiology; Anathanarayan and paniker's; 10th edition; Page no: 249